Positive head impulse test is suggestive of ?
1. Injury to vestibular nuclei
2. Injury to peripheral vestibular nerve
3. Lesion in the brain stem
4. Injury to Occulomotor nerve

Correct answer: 2. Injury to peripheral vestibular nerve

Explanation: Ans. is `b' i.e., Injury to peripheral vestibular nerve Head Impulse Test It is also called head thrust test. It is test for the diagnosis of injury to vestibular nerve which forms the peripheral vestibular pathway. Clinician asks the patient to fix his gaze on a target and then perform passive horizontal and vertical head impulses and observes the patient's eyes. Observation of a refixation saccade after the head impulse indicates decreased decreasedvestibulo ocular reflex secondary to peripheral vestibular lesions (vestibular nerve involvement).